NOT a feature of dementics:
1. Loss of sensorium
2. Wearing of dirty clothes
3. Forgetfulness
4. Loss of neurons in brain matter

Correct answer: 1. Loss of sensorium

Explanation: Ans. Loss of sensorium